Side effect of depot MPA are all, EXCEPT:
1. Weight gain
2. Irregular bleeding
3. Amenorrhea
4. Hepatitis

Correct answer: 4. Hepatitis